RELATED -GYN Boundaries of ovarian fossa are
1. Posterior obliterated umbilical artery
2. Ureter posteriorly
3. Uterine tube anteriorly
4. Internal iliac artery laterally

Correct answer: 2. Ureter posteriorly

Explanation: The ovary lies in a shallow depression, named the ovarian fossa, on the lateralwall of the pelvis.This fossa has the following boundaries:Above: by the external iliac vesselsIn front: by the obliterated umbilical arteryBehind: by the ureter